Nightmare is seen in :
1. REM sleep
2. Stage II NREM sleep
3. Stage IV NREM sleep
4. Stage I NREM sleep

Correct answer: 1. REM sleep

Explanation: A i.e. REM sleep